Malignant glaucoma is seen in:
1. Malignancy
2. After surgery for cataract or glaucoma
3. Trauma
4. Thrombosis

Correct answer: 2. After surgery for cataract or glaucoma

Explanation: B i.e. After surgery for cataract or glaucoma Ciliary Block Glaucoma/ Malignant Glaucoma Also known as direct lens block glaucoma, aqueous misdirection syndrome, ciliovitreolenticular block Q. It classically occurs in patients with primary narrow angle glaucoma operated for peripheral iridectomy or filtration (e.g. trabeculectomy) surgery Q and after cataract surgery. Q